All of the following are Digastric muscles, Except:
1. Muscle fibers in the ligament of Treitz
2. Omohyoid
3. Occipitofrontalis
4. Sternocleidomastoid

Correct answer: 4. Sternocleidomastoid

Explanation: D i.e. Sternocleidomastoid - Diagastric, Omohyoid, Occipitofrontalis, Gastroenemius, and Suspensory muscle of duodenum (i.e., muscle in Ligament of Treitz)Q are all digastric muscles i.e, muscles with two muscle bellies. Mn- "DOGS" Sternocleidomastoid muscle has two heads not two belliesQ